The most important determinant of prognosis in Wilm's tumor:
1. Stage of disease
2. Loss of heterozygosity of chromosome 1p
3. Histology
4. Age less than one year at presentation

Correct answer: 3. Histology

Explanation: Most important prognostic factor in most of malignancies- Stage (TNM) Exception- Wilms tumor and soft tissue sarcoma In Wilms tumor, Most important Prognostic Factor- Histology > Stage In soft tissue sarcoma, most important prognostic factor - Tumor grade